Card test/ book test is done for which nerve injury
1. Radial nerve
2. Ulnar nerve
3. Median nerve
4. Tibial nerve

Correct answer: 2. Ulnar nerve

Explanation: Ans. (b) Ulnar nerveRef Clinical assessment & examination in Orthopedics P67Tests for ulnar nerve* Card testPalmar interossei are Adductors (PAD) tested by asking the patient to hold a card between the extended fingers and assess resistance against pulling* EgawatestDorsal interossei are Abductors (DAB) supplied by the ulnar nerve. It is tested by asking the patient to place the palm on table and move the middle finger both ways, i.e. towards index finger and ring finger. In Dorsal interossei palsy patient will be unable to abduct the middle finger.* Book test/ Froment's signTo test adductor pollicis ask the patient to grasp a book or card between extended thumb and index finger. An ulnar nerve palsy patient tries to grasp the book by flexing the inter- phalangeal joint of thumb.Also Know* OSCHNER CLASP TEST and PEN TEST is used to check for MEDIAN NERVE PALSY